Most common site of basal cell carcinoma is
1. Face
2. Chest
3. Abdomen
4. Extremities

Correct answer: 1. Face

Explanation: Basal cell carcinoma is usually a slow-growing, locally-invasive, malignant tumour of pluripotential epithelial cells arising from basal epidermis and hair follicles; hence, it affects the pilosebaceous skinThe strongest predisposing factor to BCC is UVR.Ref: Bailey and Love, 27e, page: 605